Proteus infection is associated with the development of which type of renal calculi?
1. Uric Acid
2. Triple Phosphate
3. Calcium Oxalate
4. Xanthine

Correct answer: 2. Triple Phosphate

Explanation: Struvite stones are produced by urease producing bacteria such as proteus, which alkalanize the urine and produce ammonium. Phosphate combines with magnesium, calcium and ammonium to produce struvite. These can form large staghorn calculi. Ref: The Little Black Book of Nephrology and Hypertension By Charles N. Jacobs, Pages 175-83; Medical Therapy in Urology By Iqbal S. Shergill, Page 159